About yaws all are true except:
1. Caused by T. pertenue
2. Transmitted non-venereally
3. Secondary yaw can involve bones
4. Later stages involves heart and nerves

Correct answer: 4. Later stages involves heart and nerves

Explanation: Ans. (d) i.e. Later stages involves heart and nerves Feature Yaw (ian, framboesia Pinta (carate, azul) Organism T. pallidum subspecies pertenue T. carateum Mode of transmission Skin to skin Skin to skin Usual age Eany childhood Late childhood Primary lesion UIcerative Papilloma (Mother yaw) Non ulcerative papule with satellite Site Extremities Extremities, face Secondary lesion Cutaneous papulosquamous Pintides, pigmented, pruritic Ision, osteoperiostitis Relapses Common Rare Late complication Destructive gummas of skin, bone, cartilage Nondestructive macules Treatment Benzathine penicillin Benzathine penicillin